Which of the following are the markers of paediatric non accidental injury
1. Abuse in sibling
2. Perineal injury
3. Repeated hospital visits for minor injuries
4. All the above

Correct answer: 4. All the above

Explanation: Ans. is 'd' i.e., All the above Markers for non-accidental injury* Repeated hospital visits for minor injuries* Late presentations and multiple visits to different hospitals* Vague or inconsistent history from the child's parent or guardian and the child* Withdrawn behaviour of the child with resistance to examination* History of abuse in a sibling* Bite marks, finger marks, belt marks or cigarette burns* Multiple fractures of different ages* Perineal injury* Intracranial haemorrhage without a history of MVA